Which of the following drug is used for prophylaxis of H1N1 influenza virus infections?
1. Oseltamivir
2. Abacavir
3. Tenofovir
4. Acyclovir

Correct answer: 1. Oseltamivir

Explanation: Oseltamivir, Zanamivir, Peramivir are neuraminidase inhibitor which are used for treatment and prevention of HINI and H5N1 influenzae. Acyclovir: Acyclic guanosine derivative with clinical activity against HSV1, HSV2, and VZV, but it is 10 times more potent against HSV1 and HSV2 than VZV. Tenofovir, Abacavir: NRTI, used in HIV.